A 6-year old child who presented with perianal pruritus, excoriation of skin and nocturnal enuresis was found to be infected with a parasite causing autoinfection. The causative agent is diagnosed by the -
1. NIH swab method
2. String test
3. Hetrazan test
4. Encysted larvae on muscle biopsy

Correct answer: 1. NIH swab method

Explanation: The causative agent is Enterobius vermiculais & is diagnosed by NIH swab or perianal swab moistened with saline ie by applying the adhesive surface of cellophane tape to perianal skin in the morning & then this is examined on a glass slide inder microscope. Reference: Harrison20th edition pg 1102